All are side effects of steroids except
1. Skin atrophy
2. Telangiectasia
3. Folliculitis
4. Photosentivity

Correct answer: 4. Photosentivity

Explanation: Refer KDT 6/e p 855 Steroids are used for treatment of Photosentivity Other effects like skin atrophy Telangiectasia Folkiculitis Can be caused by steroids